A patient Shweta with raised serum alkaline phosphatase and raised parathormone level along with low calcium and low phosphate level is likely to have
1. Primary hyperparathyroidism
2. Paget's disease
3. Osteoporosis
4. Vitamin D deficiency

Correct answer: 4. Vitamin D deficiency

Explanation: Answer is D (Vitamin D deficiency) Serum Ca Serum phosphorus Alkaline phosphatase PTH * Osteomalacia (Rickets) (|iNit. D) | | | | * Primary hyperparathyroidism bone disease | | , | | * Bone disease in renal failure with secondary hyperparathyroidism N/| | | | * Lytic bone neoplasms N/| N/| N/| N * Osteoporosis N N N N * Paget's disease N N | N